Which of the following is not indicated in menorrhagia :
1. NSAID's
2. Clomiphene
3. Norethesterone
4. Tranexamic acid

Correct answer: 2. Clomiphene

Explanation: Ans. is b i.e. Clomiphene Clomiphene is mainly indicated in anovulatory infertility and PCOD. Medical management of menorrhagia : NSAID's or prostaglandin synthetase inhibitors Hormones : -- Progesterones -- Combined OCP -- Danazol -- Gestrinone, GnRH agonist -- Mifepristone (In Menorrhagia due to fibroids) Antifibrinolytic drugs : Act by inhibiting plasminogen activators, reducing the accelerated fibrinolytic activity found in menorrhagic women.e.g. : Tranexamic acid Ethamsylate : Acts by decreasing capillary fragility. GnRH agonist : They induce down regulation of pituitary with an initial agonist phase followed by down regulation causing hypoestrogenism which results in amenorrhea in 90% cases. SERM-Ormeloxiphene:lt is an antagonist to uterine and breast tissue by its antiestrogenic effects and agonist to bone and CVS. Seasonale-It is a new drug with estrogen & progesterone combined.lt is given daily for 84 days & a gap of 6 days is given after that during which menstruation occurs.